HDL3 is converted to HDL2 by:
1. CETP
2. LCAT
3. Both
4. PLTP

Correct answer: 2. LCAT

Explanation: LCAT (Lecithin Cholesterol Acyl Transferase) converts nascent discoidal HDL into HDL-3 (spherical HDL). Further, HDL-3 is converted to HDL-2 by LCAT.